In hypothermia, cause of death is:
1. Stroke
2. Cardiac arrest
3. Pulmonary embolism
4. Asphyxia

Correct answer: 2. Cardiac arrest

Explanation: Ans. Cardiac arrest